The function of glucose in ORS-
1. Increase Na+ absorption by Co-transport
2. Gives sweat taste to ORS
3. Increase osmolality of ORS
4. Increase Na+ - K+ pump activity

Correct answer: 1. Increase Na+ absorption by Co-transport

Explanation: Oral fluid therapy is based on the observation that glucose given orally enhances the intestinal absorption of salt and water, and is capable of correcting the electrolyte and water balance. Ref: PARK'S TEXTBOOK OF PREVENTIVE AND SOCIAL MEDICINE 23rd edition , Page :224